Which is false regarding halothane?
1. It is a pleasant smelling gas
2. Decreased vagal tone
3. Sensitises myocardium to catecholamines
4. It can cause postoperative hepatitis

Correct answer: 2. Decreased vagal tone

Explanation: Halothane has little analgesic properties but | vagal tone resulting in bradycardia,vasodilatation and hypotension. The frequency of postoperative hepatitis is approximately 1 in 4000 for multiple exposures. Halothane sensitizes the heart to the arrhythmogenic effects of epinephrine , so that doses of epinephrine above 1.5 g/kg should be avoided. Ref: Morgan, Jr. G.E., Mikhail M.S., Murray M.J. (2006). Chapter 7. Inhalation Anesthetics. In G.E. Morgan, Jr., M.S. Mikhail, M.J. Murray (Eds), Clinical Anesthesiology, 4e.